Microscopic examination of a patient's sputum shows aseptate fungus. Which of the following is an aseptate fungus?
1. Aspergillus
2. Candida
3. Nocardia
4. Rhizopus

Correct answer: 4. Rhizopus

Explanation: In biopsy specimens, Rhizopus is seen microscopically as nonseptate hyphae with broad, irregular walls and branches that form more or less at right angles. Cultures show colonies with spores contained within a sporangium. These organisms are transmitted by airborne asexual spores and invade tissues of patients with reduced host defenses. Patients with diabetic ketoacidosis, burns, or leukemia are particularly susceptible. Ref: Levinson W. (2012). Chapter 50. Opportunistic Mycoses. In W. Levinson (Ed), Review of Medical Microbiology & Immunology, 12e.